All of the following are the advantage of Depot provea EXCEPT :
1. It can be given to lactating mothers
2. A 150mg dose is effective for a period of 12 weeks
3. It gives good cycle control
4. It prevents ectopic pregnancy

Correct answer: 3. It gives good cycle control

Explanation: It gives good cycle control